All are true about fibro lamellar HCC except
1. Associated with cirrhosis
2. Recurrences are seen despite of better prognosis
3. Increased neurotensin and vitamin B12 binding factors
4. Lymph node metastasis is seen

Correct answer: 1. Associated with cirrhosis

Explanation: Clinical features Occurs in younger patients without a history of cirrhosis FHCC doesn't produce AFP Associated with elevated neurosin and Vitamin B12 binding globulin levels Association is rare with cirrhosis Ref: Sabiston 20th edition Pgno : 1463